Agenesis of corpus callosum with retinal colobomas and intellectual disability is seen in:
1. Alagille syndrome
2. Aicardi syndrome
3. Apert syndrome
4. Ataxia telangiectasia

Correct answer: 2. Aicardi syndrome

Explanation: Aicardi syndrome: - Characterized by Agenesis of corpus callosum Retinal colobomas Infantile spasms in girls Intellectual disability Alagille Syndrome- Triangular faces, conjugated jaundice Apert syndrome is a genetic disorder characterized by skeletal abnormalities. A key feature ofApert syndrome is the premature closure of the bones of the skull. Ataxia telangiectasia is a rare childhood disease. It affects the brain and other parts of the body. Ataxia refers to uncoordinated movements during walking. Telangiectasias are enlarged blood vessels (capillaries) just below the surface of the skin.